A 45 years. old lady presented with dysfunctional uterine bleeding. On transvaginal USG thickness of endometrium was found to be 8 mm. What should be the nest step in the management of this patient?
1. Histopathology
2. Hysterectomy
3. Progesterone
4. OCP

Correct answer: 1. Histopathology

Explanation: A 45 years old lady is presented with DUB -
• Chances of endometrial hyperplasia/neoplasia are high.
• TVS findings show thickness of endometrium as 8 mm. First, lets understand what does this signify -
Endometrial thickness has been correlated with endometrial cancer risk in pen-and postmenopausal women.
In postmenopausal females with: